All of the following are temporary social groups except?
1. Mob
2. Crowd
3. Band
4. Herd

Correct answer: 3. Band

Explanation: Temporary Social Groups: Crowd Group of people come together temporarily, for a short period, motivated by a common interest or curiosity (e.g., to witness a football match) Lacks internal organization & leadership; When interest is over, crowd disperses. Mob It is crowd with a leader, who forces members into action & is more emotional than crowd. There may be symbol like flag/slogan. It is unstable,without internal organization; When purpose is achieved, group disperses Herd Crowd with a leader whose orders are followed without questions by group members. Eg: tourist group under a guide. Permanent Spatial Groups Band Village Towns & cities State